Pseudo-Pelger-Huet cells or seen in -
1. Hairy cell leukemia
2. Multiple myeloma
3. Mylodysplastic syndrome
4. Hodgkin's lymphoma

Correct answer: 3. Mylodysplastic syndrome

Explanation: In myelodysplastic syndromes, neutrophils frequently contain decreased number of secondary granules, toxic granulations,Dohle bodies.Pseudo- Pelger-Huet cells, neutrophils with 2 nuclear lobes are commonly observed. RReference : Robbins and Cotran Pathologic basis of disease.South Asia Edition volume 1.page no. 615